Urease negative is -
1. E. coli
2. Proteus
3. Klebsiella
4. Staphylococci

Correct answer: 1. E. coli